The preferred treatment of verrucous carcinoma of the larynx is:
1. Pulmonary surgery
2. Electron beam therapy
3. Total laryngectomy
4. Endoscopic removal

Correct answer: 4. Endoscopic removal

Explanation: Verrucous Carcinoma Verrcous carcinoma makes up only 1-2% of laryngeal carcinomas. The larynx is the second most common site of occurence in the head and neck after the oral cavity. Most common site of involvement is vocal cord. Grossly, verrucous carcinoma appears as a fungating, papillomatous, grayish white neoplasm. Microscopically, it is well differentiated squamous cell carcinoma with minimal cytological atypis. It has low metastatic potential Hoarseness is the most common presented symptom. Pain and dysphagia may occur but are less common. Treatment of most verrucous tumors is primary surgery. Endoscopic laser surgery is appropriate as the tumor is less aggressive than usual squamous cell carcinoma.